Cause(s) of in Mydriasis:
1. Organophosphorus poisoning
2. Homer syndrome
3. Oculomotor nerve palsy
4. Parasympathetic stimulation

Correct answer: 3. Oculomotor nerve palsy

Explanation: Answer- C. Oculomotor nerve palsyCarbolic acid, Chloral hydrate, Organophosphorus, Morphine (opiate) and 'New Horn' i.e. neurosyphilis/tabes dorsalis (spinal miosis or small, irregular Argyll Robertson pupil) and Horner's syndrome, Oculomotor nerve palsy.Atropine and cocaine cause mydriasis.